Acute hemorrhagic conjunctivitis is seen in infection of
1. Enterovirus type 70
2. Staphylococci
3. Pneumococcus
4. Hemophilus

Correct answer: 1. Enterovirus type 70

Explanation: ACUTE HAEMORRHAGIC CONJUNCTIVITIS It is an acute inflammation of conjunctiva characterized by multiple conjunctival hemorrhages, conjunctival hyperemia, and mild follicular hyperplasia. Etiology: The disease is caused by picornaviruses (enterovirus type 70) which are RNA viruses of small(pico) size. The disease is very contagious and is transmitted by direct hand-to-eye contact. Clinical picture: The disease has occurred in an epidemic form in the Far East, Africa, and England and hence the name 'epidemic hemorrhagic conjunctivitis (EHC)' has been suggested. An incubation period of EHC is very short (1-2days). Symptoms include pain, redness, watering, mild photophobia, transient blurring of vision and lid swelling. Signs of EHC are conjunctival congestion, chemosis, multiple hemorrhages in bulbar conjunctiva, mild follicular hyperplasia, lid edema and pre-auricular lymphadenopathy. Corneal involvement may occur in the form of fine epithelial keratitis. Treatment: *EHC is very infectious and poses major potential problems of cross-infection. Therefore, prophylactic measures are very important. *No specific effective curative treatment is known. *However, broad-spectrum antibiotic eye drops may be used to prevent secondary bacterial infections. Usually, the disease has a self-limiting course of 5-7 days. Acute hemorrhagic conjunctivitis is primarily caused by enterovirus 70 and a variant of coxsackievirus A24; however, other enteroviruses, including echoviruses 7 and 11, coxsackieviruses B1 and B2, and several adenoviruses can also cause acute hemorrhagic conjunctivitis, sporadic conjunctivitis and keratoconjunctivitis Ref- Khurana; 4th edition; Pg. No. 69